The poverty line limit for rural areas is the purchasing capacity for a daily intake of 2400 calories per person. Which one of the following calorie limits is for urban areas?
1. 1900
2. 2100
3. 2400
4. 2800

Correct answer: 2. 2100

Explanation: Ans. is 'b' i.e., 2100 Poverty line c The poverty line is defined as expenditure required for a daily calorie intake of : - i) 2400 per person in rural areas ii) 2100 per person in urban areas o Based on per capita expenditure, poverty line is defined as:? Rural areas :- 444 Rs. Per capita per month Urban area:- 512 Rs. Per capita per month.